Muscle not inserted on the greater tuberosity is
1. Teres minor
2. Supraspinatus
3. Infraspinatus
4. Subscapularis

Correct answer: 4. Subscapularis

Explanation: The supraspinatus, infraspinatus, teres minor and subscapularis muscles comprise the rotator cuff muscle group. The main role of these muscles is stabilization of the humeral head in the glenoid fossa. Tendons of teres minor, supraspinatus, and infraspinatus insert on the greater tuberosity of the humerus, and subscapularis tendon inserts on lesser humeral tuberosity. Actions of these muscles are internal rotation (subscapularis), external rotation (teres minor and infraspinatus) and early abduction from 0@ to 30@ (supraspinatus). The subacromial bursa lies between supraspinatus tendon and the acromion.